Multiple nasal polyp in children should guide the clinician to search for undermying:
1. Mucoviscidosis
2. Celiac disease
3. Hirschsprung's disease
4. Sturge weber syndrome

Correct answer: 1. Mucoviscidosis

Explanation: Multiple nasal polyp in children nay be associated with mucoviscidosis. Ref.Dhingra 6/e p 175